Bile flow in the duodenum occurs during which phase of the MMCs?
1. Phase I
2. Phase II
3. Phase III
4. It occurs during all phases continuously

Correct answer: 2. Phase II

Explanation: - Bile flow in duodenum occurs during the phase II of the MMC. - The 3 phases of migrating motor complex (MMC) are - Phase I :- about first 70 minutes - no contractions, Phase II:- 15-20 min - irregular contractions start, Phase III :- 5-10 min - each slow wave is followed by contraction.